Compliance of lungs is
1. 200 ml/cm water
2. 500 ml/cm water
3. 800ml/cm water
4. 1000ml/cm water

Correct answer: 1. 200 ml/cm water

Explanation: The change in lung volume per unit change in airway pressure (DV/DP) is the compliance (stretchability) of the lungs and chest wall. It is normally measured in the pressure range where the relaxation pressure curve is steepest, and the normal value is approximately 0.2 L/cm H2O.Ref: Ganong review of medical physiology 23rd edition Page no: 595